Acute cholinesterase inhibitors intoxication include all of the following except
1. Salivation, sweating
2. Mydriasis
3. Bronchial constriction
4. Vomiting and diarrhea

Correct answer: 2. Mydriasis

Explanation: Cholinesterase inhibitors have cholinomimetic actions. The major source of such intoxications is pesticide use in agriculture.The dominant initial signs are those of muscarinic excess: miosis, salivation, sweating, bronchial constriction, vomiting, and diarrhea. Central nervous system involvement (cognitive disturbances, convulsions, and coma) usually follows rapidly, accompanied by peripheral nicotinic effects, especially depolarizing neuromuscular blockade.Katzung 13e pg:118